Drug which arrests mitosis in metaphase ?
1. Busulfan
2. 5-fu
3. Vinca Alkaloids
4. Methotrexate

Correct answer: 3. Vinca Alkaloids

Explanation: Ans. is 'c' i.e., Vinca alkaloids M-phase inhibitors (Mitosis inhibitors) are vincristine, vinblastine, paclitaxel, docetaxel ixabepilone and extramustine.